Rate of involution of uterus is:
1. 0.75 cm per day
2. 1 cm per day
3. 1.25 cm per day
4. 1.5 cm per day

Correct answer: 3. 1.25 cm per day

Explanation: Ans. C: 1.25 cm per day During the first 24 hours after delivery, the level of the uterus remains constant; thereafter there is a steady decrease in height by 1.25 cm (half inch) in 24 hours, so that by the end of 2^d week, the uterus becomes a pelvic organ Remember: Puerperium period: 6 weeks after delivery Involution of uterus is complete by: 6 weeks Uterus becomes a pelvic organ: 2 weeks after the delivery MC cause of puerperal infection: Streptococcus MC route of puerperal infection: Direct spread